The virus with smallest genome is -
1. Reovirus
2. Parvovirus
3. Picornavirus
4. HIV

Correct answer: 2. Parvovirus

Explanation: Smallest genome → Parvovirus
Largest genome → Poxvirus